Following is true about safety muscle of tongue
1. Innervated by cranial part of accessory nerve
2. Hypoglossal nerve
3. Attached to hard palate
4. None of the given options

Correct answer: 2. Hypoglossal nerve

Explanation: Ref BDC volume 3,6th edition pg 268Genioglossus is a life-saving muscle and its action is to protrude the tongueAll intrinsic and extrinsic muscles except palatoglossus are supplied by hypoglossal nerve